The four "Pyrole rings" in hemoglobin molecule are joined together by
1. Disulphide bridges
2. Methylene bridges
3. Hydrogen bonds
4. Alpha bonds

Correct answer: 2. Methylene bridges